The condylar guidance of an articulator is dependent on:
1. The depth of the glenoid fossa
2. The vertical overlap of the incisors
3. The cuspal inclines
4. The inclination of the articular eminence

Correct answer: 4. The inclination of the articular eminence